Joint not involved in Rheumatoid arthritis according to 1987 modified ARA criteria?
1. Knee
2. Ankle
3. Tarsometatarsal
4. Metatarsophalangeal

Correct answer: 3. Tarsometatarsal

Explanation: According to 1987 modified ARA criteria : -

Arthritis of 3 or more joint areas: soft tissue swelling (arthritis) of 3 or more joint areas observed simultaneously by a physician. The 14 possible joint areas involved are, right or left:


Proximal interphalangeal   
Metacarpophalangeal     
Metatarsophalangeal
Wrist
Knee 
Elbow
Ankle